There is a real relationship between the incidences of fracture of anterior teeth and the
1. caries in those teeth
2. hardness of the enamel
3. hardness of dentin
4. protrusion of those teeth

Correct answer: 4. protrusion of those teeth